Drug which is used in lie detection (truth serum)
1. Glycopyrrolate
2. Solifenacin
3. Hyoscine
4. Acetylcholine

Correct answer: 3. Hyoscine

Explanation: Hyoscine or scopolamine and thiopentone sodium are the drugs used in lie detection .they are considered as truth serum .under CNS depression it is implied that the patient usually tells the truth Ref: Goodman Gillman 11th ed pg 231-232